Only male are affected in -
1. Scheie's syndrome
2. Hunter's syndrome
3. Hurler's syndrome
4. Gaucher's disease

Correct answer: 2. Hunter's syndrome

Explanation: Ans. is 'b' i.e., Hunters syndrome o All these are lysosomal storage diseases. o Remember that ? "All lysosomal diseases are autosomal recessive except for Hunter's syndrome and fabry's disease which are X-linked recessive ". o As Hunter's syndrome is X-linked recessive, it will affect only males.